The combination of trimethoprim and sulfamethoxazole is effective against which of the following opportunistic infections in the AIDS patient?
1. Disseminated Herpes simplex
2. Cryptococcal meningitis
3. Pneumocystis jirovecii
4. Tuberculosis

Correct answer: 3. Pneumocystis jirovecii